Myd88 L265p mutation is seen in:
1. Multiple myeloma
2. Waldenstrom's macroglobulinemia
3. ALL
4. Chronic myeloid leukemia

Correct answer: 2. Waldenstrom's macroglobulinemia

Explanation: B i.e. Waldenstrom's macroglobulinemiaRef: Robbins 9th edition, page 538Explanation:Waldenstrom MacroglobulinemiaIndolent neoplasm.Also known as lymphoplasmacytic lymphoma.Involves bone marrow (100%), liver, spleen, lymph nodes (15 - 20%).Rare sites of involvement lung and testis (PGIMER exam options).IgM secretion.MYD88 mutation - virtually in all cases.Associated with cold agglutinin AIHA and Hyperviscosity syndrome in 15%.